All of the following factors accelerate the development of rigor mortis in a dead body, EXCEPT:
1. Thin body built
2. Aerobic exercise
3. Cold temperature
4. Strychnine poisoning

Correct answer: 3. Cold temperature

Explanation: Cold temperature slows the onset and progression of rigor mortis. It is because of the slow onset and breakdown of ATP in cold weather. Rigor mortis usually has an onset 1-2 hours after death and gets well established in the entire body in about 9-12hrs. Factors accelerating the onset of rigor mortis are: Warm temperature Thin body built Aerobic exercise Strychnine poisoning (produces convulsions) Ref: Forensic Science: Fundamentals & Investigations By Anthony J. Bertino, page 315.